Signet-ring cells are found in which type of breast cancer
1. Papillary carcinoma
2. Tubular carcinoma
3. Invasive ductal carcinoma
4. Invasive lobular carcinoma

Correct answer: 4. Invasive lobular carcinoma

Explanation: Invasive lobular carcinoma accounts for 10% of breast cancers. The histopathologic features of this cancer include small cells with rounded nuclei, inconspicuous nucleoli, and scant cytoplasm. Special stains may confirm the presence of intracytoplasmic mucin, which may displace the nucleus (signet-ring cell carcinoma).